All of the following anticancer drugs act on G2 phase except:
1. Paclitaxel
2. Etoposide
3. Irinotecan
4. Bleomycin

Correct answer: 1. Paclitaxel

Explanation: Ans. (A) Paclitaxel(Ref: Katzung 13th/e p921)Paclitaxel is a taxane that act on mitotic spindle. Drugs acting on mitotic spindle act on M phase of cell cycle.Phase of cell cycleDrugs actingG1EtoposideSAntimetabolitesG2BleomycinEtoposideIrinoctecanTopotecanMVinca alkaloidsTaxanes